All of the following statements about NK cells are true except
1. They are derived from large granular cells
2. They comprise about 5% of human peripheral lymphoid cells
3. They are MHC restricted cytotoxic cells
4. They express IgG Fc receptor

Correct answer: 3. They are MHC restricted cytotoxic cells

Explanation: Ref Harrison 17/p2024-2028;9/e 192 NK cells play a major role in the host-rejection of both tumours and virally infected cells. NK cells are cytotoxic; small granules in their cytoplasm contain special proteins such as perforin and proteases known as granzymes. Upon release in close proximity to a cell slated for killing, perforin forms pores in the cell membrane of the target cell through which the granzymes and associated molecules can enter, inducing apoptosis. The distinction between apoptosis and cell lysis is important in immunology - lysing a virus-infected cell would only release the virions, whereas apoptosis leads to destruction of the virus inside. NK cells are activated in response to interferons or macrophage-derived cytokines.